Bullet which disintegrates into fragments on hitting the target is
1. Dum dum bullet
2. Yawning bullet
3. Fangible bullet
4. Tandem bullet

Correct answer: 3. Fangible bullet

Explanation: Ans: c (Fangible bullet) Ref: Reddy, 27th ed, p. 202Fangible bullets are those which disintegrates into fragments on impact.Ricochet bullets - are those which before striking the object aimed at, strikes some intervening object first and then after rechochetting and rebounding from there into the object.Yaw ning bullet - It is a bullet traveling in an irregular fashion instead of traveling nose onTumbling bullet - It is a bullet that rotates end on end during its motion.Tandem bullet or Piggyback bullet - When unused or old weapon is fired, the bullet may fail to come out from the muzzle but when it is fired again the second bullet may go off carrying the lodged bullet with it and both the bullets may enter the body through the same entrance wound.Duplex or Tandem Catridge - This is used in military rifles and contains 2 bullets which enter the target at different points.Souvenir bullets - These are bullets which are retained in the body for a long time and usually a dense fibrous capsule surrounds it.Dum Dum bullet- Hollow bullets which on impact, breaks down and thus dissipate more force of impact.Gutter wound - Bullets may graze or rubs the top and sides of the cranium without entering it.The affected area of the skull shows an oval or elongated gutter like depression known as the gutter wound.